Lipid in tissue detected by aEUR'
1. Oil Red 0
2. Muciramine
3. PAS
4. Myeloperoxidase

Correct answer: 1. Oil Red 0

Explanation: Oil red 0 Congo red is not used in lipid staining. It is used in the staining of amyloid protein. STANING FOR LIPIDS Non polar lipids Example Stain used * Unconjugated lipids Fatty acids III & IV Oil red 0, Sudan black Sudan Cholesterol Filipin * Esters Cholesteryl esters Schultz Monodi and Tri-glycerides Calcium lipase * Polar lipids Phospholipids Glycerol bases Phosphatidylcholine Nile blue sulfate Phosphatidylserine Nile blue sulfate Phosphatidylethanol amine Plasmal reaction Sphingosine-base Sphingomyelins Fenic hematoxylin Glycolipids Cerebrosides PAS Sulfatides Acetone/Toluidine blue Ganglisides PAS